Sinus tachycardia is seen in
1. Beta blocker therapy
2. Athletes
3. Hypothyroidism
4. Severe anaemia

Correct answer: 4. Severe anaemia